Infertility can be defined as:
1. Not conceiving after 3 years of marriage
2. Not conceiving after 2 years of unprotected intercourse
3. Not conceiving after 1 year of unprotected intercourse
4. Not conceiving after 1 year of marriage

Correct answer: 3. Not conceiving after 1 year of unprotected intercourse

Explanation: Ans. Not conceiving after 1 year of unprotected intercourse